Craniofacial dissociation is seen in-
1. Lefort 1 fracture
2. Lefort 2 fracture
3. Lefort 3 fracture
4. Tripod fracture

Correct answer: 3. Lefort 3 fracture

Explanation: In Le Fort 3 fracture, there is complete separation of facial bones from the cranial bones i.e. craniofacial dissociation/dysjunction occurs.